Which of the following is true about Penicillin G?
1. Broad spectrum
2. It is effective orally
3. Used for treatment of rat bite fever
4. Probenecid given along with Penicillin G decreases duration of its action

Correct answer: 3. Used for treatment of rat bite fever

Explanation: Ans. c. Used for treatment of rat bite fever Penicillin G MOA: It inhibits cell synthesis by interfering with the transpeptidation reactions b-lactam antibiotics and is used in the treatment of bacterial infections caused by susceptible usually Gram-positive organisms. Resistance to penicillin G is due to 4 mechanism Inactivation of antibiotic by beta-lactamase: MC Modification of target penicillin-binding protein (PBP) Pharmacokinetics: Penicillin G is acid labile, destroyed by gastric acid, so not given by oral routes Probenecid is given along with Penicillin G, increase its action because it has high affinity for the tubular OATP. Penicillin G DOC for: Anthrax Actinomycosis Trench mouth Rat bite fever